Patient undergoing surgery was given a muscle relaxant. It produced marked fall in B.P. and increase in airway resistance which were reversed with diphenhydramine. The muscle relaxant was most probably :
1. Atracurium
2. Diazepam
3. Tubocurarine
4. Vecuronium

Correct answer: 3. Tubocurarine